After undergoing surgery, for Carcinoma of colon a patient developed single liver metastatis of 2 Cm.What you do next :
1. Resection
2. Chemo radiation
3. Acetic acid injection
4. Radio frequency ablation

Correct answer: 1. Resection

Explanation: Treatment of liver metastasis:

If the metastasis is anatomically resectable with good margins and allow the preservation of enough liver function after hepatectomy, liver resection is the treatment of choice.
When multiple, bilobar metastasis or extrahepatic metastasis is present, liver resection is not indicated.
Adjuvant chemotherapy is done in both cases.
So in the given patient, a single liver metastasis can be easily resected.